Apolipoprotein activating L- CAT (LQ)
1. B - 48
2. A - I
3. A- II
4. B-100

Correct answer: 2. A - I

Explanation: A-1 is the integral apoprotein of HDL.LCAT binds to discoidal HDl activated by A1 conveRTs discoidal HDL to HDl 3